Predisposing cause for carcinoma stomach are except:
1. Chronic gastric atrophy
2. Hyperplastic polyp
3. Intestinal Metaplasia grade III
4. Pernicious anemia

Correct answer: 2. Hyperplastic polyp

Explanation: Answer is B (Hyperplastic Polyps) 'Hyperplastic polyps do not appear to have malignant potential' Gastric Polyps and Premalignant Potential Hyperplastic Polyps Hyperplastic Polyps account for >75% of all gastric polyps These are not considered premalignant lesions and do not appear to have any significant malignant potential (< 1%) Adenomatous Polyps account for < 25% of all gastric polyps Adenomatous Polyps These are considered premalignant lesions They are most commonly found in the antrum of stomach and have significant malignant potential